Which is the most common testicular tumor in patients older than 60 years?
1. Seminoma
2. Leydig cell tumor
3. Teratoma
4. Lymphoma

Correct answer: 4. Lymphoma

Explanation: Testicular lymphoma is the most common testicular tumor in patients older than 60 years.